Sebaceous cyst does not occur in the .... -
1. Scalp
2. Scrotum
3. Back
4. Sole

Correct answer: 4. Sole

Explanation: Ans. is 'd' i.e., Sole